Which vitamin deficiency may lead to Keratinization
1. A
2. B
3. C
4. D

Correct answer: 1. A

Explanation: A i.e. A